Common peroneal nerve divides at what level -
1. Popliteal fossa
2. Neck of fibula
3. Tibial tuberosity
4. Upper pole of patella

Correct answer: 2. Neck of fibula

Explanation: Ans. is 'b' i.e., Neck of fibulaCommon peroneal (fibular) nerve o The common peroneal nerve supplies the extensor and peroneal compartments of the leg and dorsum of the footo It winds around the neck of fibula is closely related to lateral surface of neck of fibula. Thus, injuries around neck of fibula causes common peroneal nerve palsy. After curving around the neck of fibula it pierces the peroneus longs and divides into superficial and deep peroneal nerves.o Branches of common peroneal nerve are1) Cutaneous branchesi) Lateral cutaneous nerve of calf:- Supply the skin of the upper two-thirds of the lateral side of the leg.ii) Peroneal communicating nerve:- Joins the sural nerve.2) Articular branchesi) Superior lateral genicular.ii) Inferior lateral genicular.iii) Recurrent genicular.3) Terminal branchesi) Deep peroneal nerve (anterior tibial nerve):- It is the nerve of anterior compartment of leg and dorsum of the foot. It supplies :a) Muscles of anterior compartment of leg:- EDL, EHL, tibialis anterior, peroneus tertius.b) Extensor digitorum brevis.c) Cutaneous supply to adjacent sides of first and second toe (i.e. first interdigital cleft).d) Articular supply to ankle joint, tarsal joints, tarsometatarsal and metatarsophalangeal joints of big toe.ii) Superficial peroneal nerve:- It is the main nerve of lateral compartment of leg. It supplies :a) Muscles of lateral compartment of leg Peroneus longus and peroneus brevis.b) Cutaneous supply to lower one third of the lateral side of leg and most of the dorsum of foot except for the territories supplied by the sephanous, sural, deep peroneal and plantar nerves.c) Medial branch breaks to supply the medial side of big toe and the 2nd interdigital cleft (adjoining side of 2nd and 3rd toes).d) Lateral branch breaks to supply 3rd & 4th interdigital clefts (adjoining sides of 3rd & 4th, and 4th& 5th toes).